Which of the following drugs is not associated with open angle glaucoma?
1. Betamethasone
2. Docetaxel
3. Prednisone
4. Thiazide

Correct answer: 4. Thiazide

Explanation: Ans. is 'd' i.e.. Thiazide [Ref: align="center" style="font-family: Times New Roman, Times, serif">Drugs associated with open angle glaucomaDrugs associated with closed angle glaucomao Betamethasoneo Desoximetasoneo Dexamethasoneo Docetaxelo Fluocinoloneo Fluocinonideo Oral and topical hydrocortisoneo Methylprednisoloneo Paclitaxelo Prednisoloneo Prednisoneo Triamcinoloneo Cimetidineo Ephedrineo Fluoxetineo Fluvoxamineo Ipratropiumo Paroxetineo Ranitidineo Sulfamethoxazoleo Sulfisoxazoleo Topiramateo Venlafaxine